About posterior cruciate ligament, true statement is -
1. Prevent posterior displacement of Tibia
2. Attaches to lateral femoral condyle
3. Intra synovial
4. Inserted on medial side of medial femoral condyle

Correct answer: 1. Prevent posterior displacement of Tibia

Explanation: PCL prevents posterior gliding (subluxation) of tibia over femur.

ACL attachments 

Origin (anterior) : - From anterior part of intercondylar area of tibia just behind the anterior horn of medial meniscus.
Insertion (posterior) : - On posterior part of medial surface of lateral femoral condyle.

PCL attachments

Origin (posterior) : - From posterior part of intercondylar area of tibia.
Insertion (anterior) : - On anterior part of lateral surface of medial femoral condyle.